All of the following are causes of primary headache EXCEPT:
1. Migraine
2. Tension headache
3. Cluster headache
4. Sinusitis

Correct answer: 4. Sinusitis

Explanation: Ans. (d) SinusitisRef: Harrison 18th edition,chapter 14Primary HeadacheSecondary HeadacheType %Type %Tension -Type 69Systemic infection 63Migraine 16Head injury 4Idiopathic stabbing 2Vascular disorders 1Extertional 1Subarachnoid hemorrhage <1Cluster 0.1Brain tumor 0.1